All are features of apoptosis EXCEPT
1. Absence of adjacent inflammation
2. Fragmentation of nuclei
3. Disruption of plasma membrane
4. Shrinkage of cell size

Correct answer: 3. Disruption of plasma membrane